'Iris-pearls' are seen in:
1. Syphilis
2. Leprosy
3. Sarcoidosis
4. Tuberculosis

Correct answer: 2. Leprosy

Explanation: Ans. Leprosy